Looser's zones is seen in:
1. Osteoporosis
2. Hyperparathyrodism
3. Osteomalacia
4. Renal osteodystrophy

Correct answer: 3. Osteomalacia

Explanation: C i.e. Osteomalacia The most specific feature of Osteomalacia is presence of looser transformation zonesQ also k/a Milkman's pseudofractures or umbau zone.